Accumulation of homogentisic acid causes the following clinical condition:
1. Ochronosis
2. Tyrosinemia
3. Albinism
4. Tyrosinosis

Correct answer: 1. Ochronosis

Explanation: Ochronosis is the bluish black discoloration of certain tissues, such as the ear cartilage and the ocular tissue, seen with alkaptonuria, a metabolic disorder. Exogenous ochronosis, in which bluish black pigmentation of cartilage is noted iatrogenically by exogenous agents, has been seen after exposure to noxious substances, including phenol, trinitrophenol, benzene, and hydroquinone.